The antiulcer agent detaches and kills H. Pylori organism and prevent relapses is
1. Colloidal Bismuth
2. Pirenzipine
3. Misoprostol
4. Sucralfate

Correct answer: 1. Colloidal Bismuth